Which of the following is not seen on haemoglobin electrophoresis in homozygous sickle cell anemia?
1. HbA
2. HbA2
3. HbF
4. HbS

Correct answer: 1. HbA

Explanation: *In homozygous Sickle cell anemia, Hb electrophoresis shows - 80-90% of HbS , rest is HbF and HbA2. - However, HbA is absent .